In which fetal presentation vaginal delivery can be expected?
1. Face presentation when the chin lies direct to the sacrum
2. Brow presentation
3. Shoulder presentation
4. Face presentation when the chin lies under the symphsis pubis

Correct answer: 4. Face presentation when the chin lies under the symphsis pubis

Explanation: Vaginal delivery is not possible in Brow presentation Shoulder presentation Mentoposterior presentation of face